Water hammer pulse is seen in -
1. Aortic regurgitation
2. Anemia
3. Pregnancy
4. All the above

Correct answer: 4. All the above

Explanation: Ans. is 'd' i.e., All the above Water Hammer Pulse or Corrigans pulse* It is a large bounding pulse, associated with increased stroke volume of the left ventricle and decrease in the peripheral resistance, leading to a wide pulse pressure.* The pulse strikes the palpating finger with a rapid, forceful jerk and quickly disappears.* It is best felt in the radial artery with the patients arm elevated.* It is seen in Aortic regurgitation. It is also seen in anemia, pregnancy and mitral regurgitation.Pathophysiology of water hammer pulse* In Aortic regurgitation the stroke volume is high, so the systolic pressure is high and this is responsible for sharp rise in the pulse.* The stroke volume is high because the left ventricle gets blood from two sources during the diastole i.e. blood leaking from the Aorta and the blood it receives from left atria.The collapse occurs because* Diastolic leak of blood into the left ventricle from the Aorta* Rapid run off to the periphery as a result of low systemic vascular resistance (the increased cardiac output stimulates the baroreceptors in the aortic arch and the result is reflex vasodilatation of the peripheral vessels into which the blood flows rapidly).